Painful vaginal ulcer with inguinal lymphadenopathy and school of fish appearance of microorganism or microscopy are characteristic of:
1. Syphilis
2. LGV
3. Granuloma inguinale
4. Chancroid

Correct answer: 4. Chancroid

Explanation: Ans. is. 'd' i. e., Chancroid